All are component of saint's triad Except -
1. Renal Stones
2. Hiatus hernia
3. Diverticulosis coli
4. Gall stones

Correct answer: 1. Renal Stones